Which of the following is a better indicator of the severity of an acute disease:
1. Cause specific death rate.
2. Case fatality rate.
3. Standardized mortality ratio.
4. Five year survival rate.

Correct answer: 2. Case fatality rate.